Pathogenic cryptococci differ from non pathogenic strains by all of the following criteria except
1. Grow at 37 o C
2. Produces urease
3. Pathogenic for mice
4. Ferments carbohydrates

Correct answer: 4. Ferments carbohydrates

Explanation: Differentiation of pathogenic Cryptococcus from other non-pathogenic cryptococci is they grow at 37C, hydrolyse urea, produced brown colonies on niger seed agar and produce disease in mice. Ref: Textbook of Microbiology, Ananthanarayan and Paniker; 9th edition